All are Narcotic drug as per NDPS (National Drug Psychotropic Substances Act) EXCEPT:
1. Marijuana
2. Ketamine
3. Cannabis
4. Heroine

Correct answer: 2. Ketamine

Explanation: ANSWER:(B)KetamineREF: Textbook Of Forensic Medicine And Toxicology: Principles And Practice By Vij 4th ed page 566, style="font-size: 1.04761904761905em; font-family: Times New Roman, Times, serif; margin: 0 0 0 8px; text-indent: 0; text-align: left">The Narcotic Drugs and Psychotropic Substances (NDPS) Act, 1985 was framed taking into account India's obligations under the three UN drug Conventions as well as Article 47 of the Constitution which mandates that the 'State shall endeavour to bring about prohibition of the consumption except for medicinal purposes of intoxicating drinks and of drugs which are injurious to health'NARCOTIC DRUGSCoca Leaf & derivatives(a) Crude cocaine(b) Ecgonine and derivatives(c) Cocaine, that is, methyl ester of benzoyl-ecgonine and its salts(d) All preparations containing more than 0.1 per cent, of cocaineCanabis (Hemp): (AKA - Cannabis indica/ Indian hemp/Hashish in Egypt/Marijuana in America/Dagga in Africa)(a) Charas/Hashish- resinous exudates of leaves & stem- 25 to 40% THC(b) Ganja - flowering top- 25% THC(c) Any mixture, with or without any neutral material, of any of the above forms of cannabis or cannabisOpium and derivatives(a) Poppy seed: Seeds of Papaver sominiferum are called the poppy seeds while the latex which oozes out and dries is called the opium gum(b) Poppy straw: As per the NDPS Act, poppy straiv means 'all parts of the plant of opium poppy except seeds'(c) Opium derivative means: medicinal opium, phenanthrene alkaloids namely, morphine, codeine, thebaine and their salts, diacetylmorphine (Heroin), that is, the alkaloid also known as diamorphine or heroin and its salts, all preparations containing more than 0.2 per cent, of morphine or containing any diacetylmorphine and their salts, preparations, admixtures, extracts and other substances containing any of these drugs.(II) Psychotropic substances: "psychotropic substance" means any substance, natural or synthetic, or any natural material or any salt or preparation of such substance or material included in the list of psychotropic substances specified in the Schedule. E.g. Amphetamines, LSD, Barbiturates, Alprazolam, Benzodiadepines, Ergotamine, Ephedrine, Methyl ethyl ketone (MEK) etc.Note:* Essential narcotic drug means a narcotic drug notified by the Central Government for medical and scientific use (Morphine, Fentanyi and Methadone)* Bhang is a preparation made from cannabis leaves consumed in parts of India on some festivals. As it is not made from cannabis resin or from flowering tops, it is not covered under the NDPSAct, 1985.